Bones ossified at birth
1. Upper end of humerus
2. Lower end of humerus
3. Lower end of femur
4. Lower end of tibia

Correct answer: 3. Lower end of femur

Explanation: Secondary centers around knee joint ( distal femur and proximal tibia) appear during last weeks of intrauterine life (or immediately after birth) Primary center of all tarsal bones (except talus, calcaneus and cuboid) appear after birth Ref: Gray's39e/p185-210